All are true about carcinoma oesophagus except
1. Squamous cell is most common type of cancer
2. Squamous is increasing in incidence
3. Squamous is more common in upper two-third of oesophagus
4. Adenocarcinoma is common in lower third of oesophagus

Correct answer: 2. Squamous is increasing in incidence

Explanation: Squamous cell carcinoma generally affects the upper two-thirds of the oesophagus and adenocarcinoma the lower third. Worldwide, squamous cell cancer is most common, but adenocarcinoma predominates in the west and is increasing in incidence.Ref: Bailey and Love 27e pg: 1086